Met-tRNA would recognize:
1. AUG
2. GCA
3. GUA
4. UAC

Correct answer: 1. AUG

Explanation: Ans. AUG(Ref: Harper 31/e page 395)The first AUG sequence after the marker sequence is defined as the start codon.AUG codon binds with met tRNAI